Tendon (or) ligament is attached to a bone through:
1. Tomes fibers
2. Interstitial fibers
3. Sharpey's fibers
4. Haversian fibers

Correct answer: 3. Sharpey's fibers